What is the colour of the normal tympanic membrane:
1. Pearly grey
2. Pink
3. Blue
4. Red

Correct answer: 1. Pearly grey

Explanation: (a) Pearly grey(Ref. Scott Brown, 8th ed., Vol 2, page 923)Condition of the earColour of TMNormalPearly greyGlue ear or SOMBlueASOMRed (congested)Active otosclerosisFlamingo pink